Following is transmitted as autosomal dominant disorder-
1. Albinism
2. Sickle cell anemia
3. Hereditary spherocytosis
4. Glycogen storage disease

Correct answer: 3. Hereditary spherocytosis

Explanation: Ans. is 'c' i.e., Hereditary spherocytosis Hereditary spherocytosis is an autosomal dominant disorder. o Other three disorders (given in question) are autosomal recessive.